Commonest cause of heart failure in infancy is -
1. Myocarditis
2. Rheumatic fever
3. Cardiomyopathy
4. Congenital heart disease

Correct answer: 4. Congenital heart disease

Explanation: Ans. is 'd' i.e., Congenital heart disease Congestive heart failure o Congestive heart failure is state in which the heart cannot produce the cardiac out required to sustain the metabolic needs of the body, without evoking certain compensatory mechanism. o The most common cause of CHF in infants --> Congenital heart disease. o The most common cause of CHF in the older children --> Rheumatic fever & rheumatic heart disease.